Protein not synthesized in liver:-
1. Albumin
2. Immunoglobulins
3. Plasma enzymes
4. Acute phase proteins

Correct answer: 2. Immunoglobulins

Explanation: Immunoglobulins - are synthesized from plasma cell. Other all plasma protein are synthesized from liver They are glycoproteins Consist of two identical heavy (H) Chains and two identical light (L) chains Is a Y-shaped tetramer (H2L2) Humans have five classes of immunoglobulins-namely IgG, IgA, IgM, IgD and IgE-containing the heavy chains U, a, u, 6 and e, respectively.